Pulses paradoxus is seen in:
1. Shock
2. Elderly
3. Emphysema/Asthma
4. High output state

Correct answer: 3. Emphysema/Asthma